Father of evidence based medicine -
1. Da Vinci
2. Tolstoy
3. Sackett
4. Hippocreates

Correct answer: 3. Sackett

Explanation: David Sackett, MD, the reputed father of evidence-based medicine (EBM). Evidence based medicine is the conscientious, explicit, and judicious use of current best evidence in making decisions about the care of individual patients. The practice of evidence based medicine means integrating individual clinical expertise with the best available external evidence from systematic research. Ref -harrison 28th edition pg 21